Clostridium difficile infection risk increases on use of
1. Ciprofloxacin
2. Metronidazole
3. Vancomycin
4. Teicoplanin

Correct answer: 1. Ciprofloxacin

Explanation: Ciprofloxacin increases risk of C.difficile enterocolitis.Metronidazole, vancomycin, teicoplanin are effective agaist C. difficile in cases of pseudomembranous colitis.Ref: Bailey and Love 27e pg: 56